Kerley B lines' in the chestX-ray of a patient is a radiological feature of-
1. Respiratory failure
2. Mitral regurgitation
3. Renal failure
4. Liver failure

Correct answer: 2. Mitral regurgitation

Explanation: Chest X-ray findings of MR: The LA and LV are the dominant chambers in chronic MR. Late in the course of the disease, the LA may be massively enlarged and forms the right border of the cardiac silhouette. Pulmonary venous congestion, interstitial edema, and Kerley B lines are sometimes noted. ref : Harrison's principle of internal medicine,20th edition,pg no. 1935